A female reports symmetrical small joint polyarthritis for 2 weeks. Labs show rheumatoid factor levels at 1:320 (positive is 1:40) and anti-CCP at 58 units (40 to 59 units are considered strongly positive). An antinuclear antibody test is negative. Labs also reveal positive cytomegalovirus and paravovirus IgG, and negative parvovirus IgM. The ESR is 62 mm/hour. What is the appropriate next step in the management of this patient?
1. Naproxen 500 mg twice a day and follow up in 1 month
2. Methotrexate 12.5 mg a week with liver function tests in 1 month
3. Anti-histone antibodies, anti-DS-DNA, and complement levels
4. Prednisone 60 mg a day and follow up in 2 weeks

Correct answer: 2. Methotrexate 12.5 mg a week with liver function tests in 1 month

Explanation: It is a Dx of RA Option A: Naproxen not recommended, straight away start with DMARDS Option B: Methotrexate is given, as it comes under DMARDS. Option C: Anti-Histone antibodies used in drug induced SLE. Option D: We do not use steroids as routine measure in RA.